Richest source of Vitamin D -
1. Milk
2. Egg
3. Halibut liver oil
4. Butter

Correct answer: 3. Halibut liver oil

Explanation: Halibut liver oil contain 500-10,000 Microban per 100g . egg contain - 1 . 25microgram, Milk 0.1micrigram per 100g.REF. PARK'S TEXTBOOK OF PREVENTIVE AND SOCIAL MEDICINE 21ST EDITION. PAGE NO - 617